HIV infection causes -
1. Membranous glomerulonephritis
2. Fibrillary glomerulopathy
3. Collapsing glonerulonephritis
4. RPGN

Correct answer: 3. Collapsing glonerulonephritis

Explanation: Ans. is 'c' i.e., Collapsing glonerulonephritis Most characteristic lesion of HIV-associated nephropathy is collapsing glomerulopathy, a morphological variant of focal segmental glomerulosclerosis.Morphological changes in FSGSo Sclerosis of some glomeruli with involvement of only a portion of capillary tuft,o Collapse of GBM.o Increase in matrix.o Segmental insudation of plasma proteins along the capillary wall (Hyalinosis).o Lipid droplets and foam cells.o Diffuse efface ment of foot processes characteristic of minimal change disease, but in addition, there is focal detachment of the epithelial cells with denudation of the underlying GBM.o IgM and C3 deposits in sclerosed area and in the mesangium.Collapsing glomerulopathyo It is a morphological variant of FSGS.o Characterized by collapse and sclerosis of the entire glomerular tuft in addition to the usual FSGS lesions,o A characteristic feature is proliferation and hypertrophy of glomerular visceral epithelial cells (podocytes).o There is prominent tubular injury with formation of microcystes.o It is the most characteristic lesion of HIV nephropathy.Epithelial damage is the hallmark of FSGS.Following information has been added in 8-/e of Robbinso Sclerosis is characterized by accumulations of extracellular collagenous matrix, either confined to mesangial areas involving the capillary loops or both. The sclerosing process may also result in obliteration of capillary lumens in affected glomeruli.o In contrast Hyalinosis refers to accumulation of homogeneous, amorphous, eosinophic material into glomerular structure. Hyaline is made up of plasma proteins that have insudated from circulation into glomerular structure. Hyalinosis may also result in obliteration of cappillary lumen of glomerular toft. Hyalinosis is usually a consequence of endothelial or capillary wall injury and typically the end result of various form of glomerular damage. It is a common feature of FSGS.